Choose the local anaesthetic that is specifically used to produce corneal anaesthesia for tonometry
1. Tetracaine
2. Ropivacaine
3. Oxethazaine
4. Benoxinate

Correct answer: 4. Benoxinate

Explanation: Benoxinate:- It is a good surface anaesthetic for the eye; has little irritancy. A 0.4% solution rapidly produces corneal anaesthesia sufficient for tonometry without causing mydriasis or corneal damage. Ref:- kd tripathi; pg num:-367